Vitamin K is required for:
1. Hydroxylation
2. Chelation
3. Transamination
4. Carboxylation

Correct answer: 4. Carboxylation

Explanation: Vit k Act as coenzyme in Carboxylation of clotting factor 2,7,9,10 Only fat-soluble vitamin with coenzyme function. 3 forms k1-phyloquinone k2-menaquinone k3-manadione (water soluble)-synthetic form Deficiency lead to hemorrhagic disease of new born Prophylactic administration of Vit k for all new born advised